Positive adsons test is seen in -
1. Thoracic outlet syndrome
2. Burger disease
3. Varicose veins
4. Radial nerve injury

Correct answer: 1. Thoracic outlet syndrome

Explanation: Ans. is 'a' i.e., Thoracic outlet syndrome Thoracic Outlet Syndrome:* Neurological and vascular symptoms and signs in the upper limbs may be produced by compression of thelower trunk of the brachial plexus (C8 and Tl) and subclavian vessels between the clavicle and the first rib.* Symptoms and signs of thoracic outlet syndrome may be reproduced by variousprovocative manoeuvres. In Adson's test the patient'sneck is extended and turned towards the affected sidewhile he or she breathes in deeply; this compresses theinterscalene space and may cause paraesthesia andobliteration of the radial pulse.* In Wright's test thearms are abducted and externally rotated; again thesymptoms recur and the pulse disappears on theabnormal side.* The examination is continued by askingthe patient to hold his or her arms high abovetheir head and then open and close the fingers rapidlyjthis may cause cramping pain on the affected side(Roos's test). Unfortunately these tests are neither sensitivenor specific enough to clinch the diagnosis.